Shave biopsy is not done in:
1. Viral warts
2. Seborrheic keratoses
3. Basal cell carcinoma
4. Melanoma

Correct answer: 4. Melanoma

Explanation: Shave biopsy done for superficial lesion including: Skin tags (Acro cordons) Warts Molluscum contagiosum Seborrheic keratosis Keratoacanthoma BCC (Small low risk site) Cutaneous horn Dermatofibromas